All of the following drugs act on cell membrane EXCEPT :
1. Nystatin
2. Griseofulvin
3. Amphotericin B
4. Polymyxin B

Correct answer: 2. Griseofulvin

Explanation: It acts by affecting mitosis but the exact mechanism is not known.